Paramyxoviruses enters the body via-
1. Blood
2. Respiratory route
3. Conjunctiva
4. Fecal-oral route

Correct answer: 2. Respiratory route

Explanation: Ans. is 'b' i.e., Respiratory route Myxoviruseso Mvxoviruses are enveloped RNA viruses.o They are characterized by ability to adsorb on to mucoprotein (affinity for mucin) on erythrocytes causing agglutination of erythocytes.o Myxovirus are divided into two important families-Orthomyxovirus InfluenzaParamyxovirus - Mumps, measles, RSV, Parainfluenza viruso Major route of infection of all these virus is respirator}' route by droplet infection.